Alcoholic hyaline, in alcoholic liver disease is composed of
1. Lipofuscin
2. Eosinophilic intracytoplasmic inclusions
3. Basophilic intracytoplasmic inclusions
4. Hemozoin

Correct answer: 2. Eosinophilic intracytoplasmic inclusions

Explanation: mallory body or hyaline degeneration consist of dense eosinophilic ropey cytoplasmic inclusion body GENERAL AND SYSTEMIC PATHOLOGY RAMDAS NAYAK PGNO.449 IMAGE REF: